Psoriasis associated with p – hemolytic streptococcal infection –
1. Psoriasis vulgaris
2. Erythrodermic psoriasis
3. Pustular psoriasis
4. Guttate psoriasis

Correct answer: 4. Guttate psoriasis

Explanation: Guttate psoriasis is precipitated by upper respiratory tract infection, e.g. streptococcal tonsilitis.